Which of the following is the best denture patient
1. skeptical
2. philosophical
3. critical
4. indifferent

Correct answer: 2. philosophical